Safe and effective method of sterilization of surgical eye instruments is
1. Acetone
2. Formalin
3. Autoclaving
4. Boiling

Correct answer: 3. Autoclaving

Explanation: Autoclaving is the safest methods of sterilization Ref khurana 6/e